High dose Methotrexate is used for treatment of
1. Osteosarcoma
2. Rhabdomyosarcoma
3. Retinoblastoma
4. Ewings sarcoma

Correct answer: 1. Osteosarcoma

Explanation: Refer Harrison 17th/612 Drugs needs for Osteosarcoma Doxorubicin Ifosfamide Cisplatin High dose Methotrexate with Leucovorin